Thymoma is associated with all EXCEPT:
1. Myasthenia gravis
2. Hyper /3-gamma globulinemia
3. Panhypopituitarism
4. Ulcerative colitis

Correct answer: 2. Hyper /3-gamma globulinemia

Explanation: Hyper fi-gamma globulinemia REF: Harrison's Principles of Internal Medicine 17th ed chapter-e12 "40% of patients with Thymoma have another systemic autoimmune illness related to the Thymoma" "About 30% of patients with Thymoma have myasthenia gravis (most common), 5-8% has pure red cell aplasia, and 5% have hypogammaglobulinemia" "Among patients with myasthenia gravis 10-15% has Thymoma. Thymoma more rarely may be associated with polymyositis, systemic lupus erythematosus, thyroiditis, Sjogren's syndrome, ulcerative colitis, pernicious anemia, Addison's disease, scleroderma, and panhypopituitarism. In one series, 70% of patients with Thymoma were found to have another systemic illness"